Microorganisms that enter freshly laid eggs are
1. Salmonella
2. Brucella
3. Shigella
4. Vibrio cholerae

Correct answer: 1. Salmonella

Explanation: Ans. is 'a' i.e., Salmonella . Salmonella can enter through the shell if eggs are left on contaminated chicken feed or feces and grow inside.